Isoniazid induced peripheral neuropathy responds to administrations of-
1. Pyridoxine
2. Riboflavin
3. Thiamine
4. Cobalamin

Correct answer: 1. Pyridoxine

Explanation: Ans. is 'a' i.e., Pyridoxine